Regarding poliovirus responsible for poliomyelitis all are true except:
1. Type 1 is responsible for most epidemics
2. Type 1 is most common in India
3. Type 3 is most common is India
4. Type 2 is eradicated worldwide

Correct answer: 3. Type 3 is most common is India